Pain in tonsillar fossa and upper neck is characteristic of?
1. Eagle's syndrome
2. Apert's syndrome
3. Sickler's syndrome
4. Usher's syndrome

Correct answer: 1. Eagle's syndrome

Explanation: Eagle's syndrome is characterised by pain in tonsillar fossa and upper neck. Pain radiates of ipsilateral ear. There is aggravation of pain on swallowing. It is caused by calcification of stylohyoid ligament / elongation of styloid process. Ref: Diseases of Ear, Nose and Throat by P.L. Dhingra, 9th edition, p287.